According to Frankel's behavioral scale, rating 3 stands for
1. Definitely positive
2. Positive
3. Negative
4. Definitely negative

Correct answer: 2. Positive

Explanation: Rating 3: Positive. Acceptance of treatment; cautious behavior at times; willingness to comply with the dentist, at times with reservation, but patient follows the dentist's directions cooperatively.